Following are of B Cell origin except-
1. CLL
2. ALL
3. Sezary syndrome
4. Burkitt's Lymphoma

Correct answer: 3. Sezary syndrome

Explanation: Ans. is 'c' i.e., Sezary syndrome